Structures passing through lesser sciatic foramen are all EXCEPT:
1. Pudendal nerve
2. Internal pudendal vessels
3. Nerve to obturator extemus
4. Nerve to obturator internus

Correct answer: 3. Nerve to obturator extemus

Explanation: ANSWER: (C) Nerve to obturator externusREF: BDC 4th ed VOL-II p. 79, grays 39th e p. 688Structures passing through Greater sciatic foramen:Above pyriformis - superior gluteal nerves and vesselsBelow pyriformis -Posterior cutaneous nerves of thighInferior gluteal nerves and vesselsNerves to quadratus femorisSciatic nervePudendal nerve Internal pudendal vesselsNerve to obturator internusStructures passing through lesser sciatic foramen:Pudendal nerveInternal pudendal vesselsNerve to obturator internusTendon of obturator internus